Hang up knee jerk is seen in-
1. Chorea
2. Cerebral palsy
3. Athetosis
4. None

Correct answer: 1. Chorea